False about Ivabradine
1. It acts by inhibiting funny current
2. Used in long term prophylaxis of stable angina
3. It causes tachycardia
4. It may lead to visual field defects

Correct answer: 3. It causes tachycardia

Explanation: Ivabradine results in bradycardia.